Normal level of PSA in male is?
1. < 4 ng/ml
2. 4-10 ng/ml
3. >10 ng/ml
4. PSA is not produced by normal males

Correct answer: 1. < 4 ng/ml

Explanation: ANSWER: (A) < 4 ng/mlREF: Bailey and love 24th ed p. 1383PSA Levels<4ng/mlNormal4-10 ng/mlBPH and carcinoma both>10 ng/mlApprox. 75% will have cancer